Most common quadrant for carcinoma Breast:
1. Lower outer
2. Lower inner
3. Upper outer
4. Upper inner

Correct answer: 3. Upper outer

Explanation: Ans. (c) Upper Outer(Ref Bailey an Love Page 811)* MC site - Upper outer* Least Common - Lower Inner